Human experimentation is carried out following?
1. Helisinki declaration
2. Casper dictim
3. Geneva convention
4. Vincent Collins formula

Correct answer: 1. Helisinki declaration

Explanation: Ans. is 'a' i.e., Helisinki declaration